BCG is -
1. Live vaccine
2. Killed vaccine
3. Toxoid
4. None

Correct answer: 1. Live vaccine

Explanation: Ans. is 'a' i.e., Live vaccine Live'attenuated' vaccinesKilled 'inactivated' vaccinesBCGPertussisOPV (Sabin - Oral polio vaccine)IPV (Salk - Inactivated polio vaccine)Measles vaccineRabies vaccineMumps vaccineCholera vaccineRubella vaccineMeningococcal vaccineYellow fever vaccineHepatitis B vaccineTyphoralTyphim - Vi vaccineHepatitis - AHepatitis - A